The most pre-cancerous condition for carcinoma colon is
1. Familial polyposis
2. Hamartomatous polyps
3. Juvenile polyps
4. Hyperplastic polyps

Correct answer: 1. Familial polyposis

Explanation: Answer is A (Familial polyposis) 'Familial polyposis of colon' is characterized by the appearance of thousands of adenomatous polyps throughout the large bowel. If polyposis is not treated surgically, colorectal cancer will develop in almost all patients before the age of 40. Once the multiple polyps that constitute 'Polyposis' are detected patients should undergo total colectomy Remember : Non-malignant polypsQ (Rare/Small Malignant potential) Hamartomatous polypsQ Hyperplastic polypsQ Juvenile polyposis Peutz Jeghers syndromes Malignant polypsQ Adenomatous Polypse Familial adenomatous polyposis Gardner's syndromes Turcot's syndrome Lynch syndromes